Even conventional radiological procedure are contra- indicated in which neurological disease ?
1. Ataxia telangiectasia
2. Cockayne Syndrome
3. Gorlin Syndrome
4. All the above

Correct answer: 1. Ataxia telangiectasia

Explanation: (A) Ataxia telangiectasia # ATAXIA TELANGIECTASIA - Defect in DNA repair> Sensitive to X-rays and Gamma rays (ionizing radiation) But not sensitive to UV rays -can go out in the sun> CS Type I, the classic form, is characterized by normal fetal growth with the onset of abnormalities in the first two years of life. Impairment of vision, hearing, and the central and peripheral nervous systems progressively degenerate until death in the first or second decade of life. Mild Sensitivity to radiation.> Nevoid basal cell carcinoma syndrome (NBCCS), also known as basal cell nevus syndrome, multiple basal cell carcinoma syndrome, Gorlin syndrome, and Gorlin-Goltz syndrome, is an inherited medical condition involving defects within multiple body systems such as the skin, nervous system, eyes, endocrine system, and bones. People with this syndrome are particularly prone to developing a common and usually non-life-threatening form of non-melanoma skin cancers moderately sensitive to radiation